IPC 312 & 315 are associated with ?
1. Kidnapping & abduction
2. Attention & abetment to suicide
3. Causing grievous hurt
4. Voluntary miscarriage

Correct answer: 4. Voluntary miscarriage

Explanation: Ans. is 'd' i.e., Voluntary miscarriage